The Central Government Health Scheme (CGHS) was 165. established in the year
1. 1948
2. 1953
3. 1954
4. 1955

Correct answer: 3. 1954